Which component of St. pyogenes has cross reactivity with synovium of human ?
1. Capsular hyaluronic acid
2. Cell proteins
3. Group A carbohydrate antigens
4. Peptidoglycan

Correct answer: 1. Capsular hyaluronic acid